Ambiguous genitalia in males is due to
1. Congenital adrenal hyperplasia
2. Cushing's disease
3. 5 - alpha reductase deficiency
4. Aromatase deficiency

Correct answer: 3. 5 - alpha reductase deficiency

Explanation: 5 - α Reductase deficiency causes ambiguous genitalia in males. Rest all options cause ambigous genitalia in females.